Lung is characteristically involved in:
1. Churg-Strauss syndrome
2. HSP
3. PAN
4. ITP

Correct answer: 1. Churg-Strauss syndrome

Explanation: a. Churg-Strauss syndrome(Ref: Nelson's 20/e p 1221-1223, Ghai 8/e p 631-635)Churg Strauss syndrome: It is a small vessel necrotizing granulomatous vasculitis associated with a history of refractory asthma & peripheral eosinophilia.